Which is not a part of the pupillary light reflex -
1. Lateral geniculate body
2. Pre- tectal area
3. Retina
4. Edinger- Westphal nucleus

Correct answer: 1. Lateral geniculate body

Explanation: Lateral geniculate body is a part of visual pathway not pupillary reflex. Both visual pathway and pathway for pupillary reflex is same upto optic tract. However, from optic tract, fibres for pupillary reflex do not reach lateral geniculate body; rather they are diverted towards the pretectal nucleus.